Signs of cerebral compression are all except ?
1. Bradycardia
2. Hypotension
3. Papilloedema
4. Vomiting

Correct answer: 2. Hypotension

Explanation: Ans. is 'b' i.e., Hypotension There is hypertension